The only reliable method for determining the mode of respiratory function is:
1. Butterfly test
2. Water test
3. Induction rhinomanometry
4. Halometer

Correct answer: 3. Induction rhinomanometry

Explanation: Induction rhinomanometry or plethysmography is considered as gold standard for determining the mode of respiration in any given individual.